In asymmetrical IUGR which organ is not affected
1. Subcutaneous fat
2. Muscle
3. Liver
4. Brain

Correct answer: 4. Brain

Explanation: In asymmetrical IUGR, the insult on the fetal growth occurs during late gestation producing a brain sparing effect. Head circumference is relatively preserved compared to length and weight. This occurs d/t preferential redistribution of blood flow to brain, heart and adrenals. Causes include : placental insufficiency, pregnancy indyced hypertension or maternal medical diseases. Reference : page 156 Ghai Essential Pediatrics 8th edition